Very high intraocular pressure, vertically oval mid-dilated pupil and shallow anterior chamber is seen in:
1. Primary open angle glaucoma
2. Acute primary angle closure glaucoma
3. Malignant glaucoma
4. Pupillary block glaucoma

Correct answer: 2. Acute primary angle closure glaucoma

Explanation: Ans. B: Acute primary angle closure glaucoma